Scurvy is due to deficiency of
1. Vitamin C
2. Vitamin A
3. Vitamin K
4. Vitamin E

Correct answer: 1. Vitamin C

Explanation: Deficiency of ascorbic acid results in scurvy, a disease characterized by sore and spongy gums, loose teeth, fragile blood vessels, swollen joints, and anemia. Many of the deficiency symptoms can be explained by a deficiency in the hydroxylation of collagen, resulting in defective connective tissue.Reference: Lippincott; 5th Edition; Page no: 377